Which of the following membrane has the highest protein content per gram tissue:-
1. Inner mitochondrial membrane
2. Outer mitochondrial membrane
3. Plasma membrane
4. Myelin sheath

Correct answer: 1. Inner mitochondrial membrane

Explanation: Ans. is 'a' is inner mitochondrial membrane .Ratio of protein to lipid in different membranes.Inner mitochondrial membrane -3.2 (Max.)Sarcoplasmic reticulum -2.0Outer mitochondrial membrane -1.1Myelin-0.23 In almost all the membranes of the body proteins are equal or exceed the quantity of lipid. The only exception is myelin (high lipid content provide good insulation).